During a disaster, rapidly classifying the injured on the basis of likelihood of their survival with prompt medical intervention, is a part of
1. Search, rescue and first aid
2. Tagging
3. Triage
4. Disaster mitigation

Correct answer: 3. Triage

Explanation: Triage:
Consists of rapidly classifying the injured ‘on the basis of severity of their injuries and likelihood of their survival’ with prompt medical intervention.